Kayser Fleischer ring is seen in:
1. Sympathetic ophthalmitis
2. Hemosiderosis
3. Wilson's disease
4. Keratoconus

Correct answer: 3. Wilson's disease

Explanation: Ans. C i.e. Wilson's disease